Xerophthalmia is considered a problem in a community if:-
1. Night blindness >1%
2. Bitot spots >1%
3. Corneal ulceration > 0.05%
4. Corneal ulcer >0.5%

Correct answer: 1. Night blindness >1%

Explanation: Prevalence criteria for determining the Xerophthalmia problem in a community: Criteria Prevalence Night blindness >1.0% Bitot's spots >0.5% Corneal xerosis / corneal ulceration / keratomalacia >0.01% Corneal ulcer >0.05% Serum retinol >5.0%